Which among the following is TRUE about dactylography?
1. Surest sign of identification
2. Probable sign of identification
3. Presumptive sign of identification
4. Doubtful sign of identification

Correct answer: 1. Surest sign of identification

Explanation: Dactylography (fingerprint system; dermatoglyphics; Galton system) is a surest sign of identification. In practice 8-16 points of fine comparison are accepted as proof of identity. The patterns are not inherited and paternity cannot be proved through fingerprint patterns. The fingerprint patterns are distinctive and permanent in individuals. The fingerprint system is the only guide to identify which is unfailing in practice. Ref: Essentials of Forensic Medicine and Toxicology by KS Narayan Reddy, 27th edition, Page 76.